Podophylline is used in treatment of
1. Plantar warts
2. Palmar warts
3. Comdylomata accuminata (Genital wart)
4. Condylomata lata

Correct answer: 3. Comdylomata accuminata (Genital wart)

Explanation: C i.e. Condylomata accuminata